A 16-year-old boy suffering from drug abuse presents with cross-over of sensory perceptions, such that, sounds can be seen and colors can be heard. Which of the following is the most likely agents responsible for drug abuse:
1. Cocaine
2. LSD
3. Marijuana
4. PCP

Correct answer: 2. LSD

Explanation: B i.e. (LSD) - Lysergic acid diethylamide (LSD) has potent psychedelic & hallucinogenic effects and produce a variety of bizarre and offer conflicting perceptual and mood changes, including visual illusions, synesthesias (reflex hllucination = sensory modalities cross over) extreme lability of moodQ. and sometimes bad trip (panic episode). It also produces tachycardia, hypertension, pupillary dilation, tremor, and hyperpyrexia. Phencyclidine (PCP) or angel dust, a NMDA receptor blocker, is widely used in veterinary medicine to briefly immobilize large animals (dissociative anesthesia). It produces agitation, excitement, impaired motor coordination, dysarthria and analgesia at low doses; whereas signs of intoxication include horizontal or vertical nystagmus, flushing, diaphoresis, and hyperacusis; higher doses (5-10 mg) produce profuse salivation , vomiting, myoclonus, fever, stupur, coma, convulsions, opisthotonus and decerebrate posturing. Behavioral changes include distortion of body image, disorganization of thinking, and feeling of estrangementQ - Flunitrazepam (Rohypnol), a benzodiazepine used for insomnia has strong hypotic, anxiolytic and amnesia producing effects. It is also k/a date - rape drug or roofies and overdose can be treated with flumazenil. GHB (Gamma hydroxy butyric acid = Xyrem) is FDA approved treatment for narcopepsy with abuse potential producing euphoria & disinhibition. GABAB antagonists can reverse its sedating effects and opioid antagonists (naloxone, naltrexone) can attenuate GHB effects on dopamine release.